Which of the following ion is least absorbed in tubules?
1. Sodium
2. Urea
3. Creatinine
4. Glucose

Correct answer: 3. Creatinine

Explanation: The urinary plasma ratio of Creatinine is 1:150 which shows the least reabsorption Glucose - 0, Sodium- 0.6, Urea- 60 Ref: Ganong 25th ed/page 679